The SCAN index is generally used as a
1. Malocclusion index
2. Treatment need index
3. Treatment change index
4. Treatment of priority index

Correct answer: 2. Treatment need index